Compared with other mullerian duct defects, a transverse vaginal septum is associated with lower rate of
1. Endometriosis
2. Renal anomalies
3. Ectopic pregnancy
4. Retrograde menstruation

Correct answer: 2. Renal anomalies

Explanation: In contrast to other mullerian duct defects, transverse vaginal septum is associated with few urologic abnormalities.